The spindle-shaped Age pyramid denotes?
1. Developing country
2. Underdeveloped country
3. Middle east country
4. Developed country

Correct answer: 4. Developed country